Point A & point B Manchester location are used in radiotherapy treatment of which cancer?
1. Kidney
2. Uterus
3. Cervix
4. Vagina

Correct answer: 3. Cervix

Explanation: Ans. c (Cervix). (Ref. Shaw, Textbook of Gynacology, 14th/391).RADIOTHERAPY IN Ca CERVIX# External beam via cobalt or linear accelerator & brachytherapy (e.g., radium, cobalt or cesium) are used in, treatment of carcinoma cervix.# The radium dosage is calculated with respect to the amount of irradiation received at 2 theoretical points A & B.PointLocationDosePoint ALies 2 cm above & 2 cm lateral to the base of the radium tube in the cervical canal.It approximates to the position in the pelvis where the uterine artery & ureter cross.Max 8000 radPoint BLies 3 cm lateral to point ARoughly corresponds to the position of obturator nodes.Max 4500 radNote: The International System (SI) unit for rad is the Gray (Gy); 1 Gy = 100 rad.# The Manchester method of radiotherapy for a Ca cervix is a variation of the Stockholm technique & uses rubber voids loaded with radium in place of the platinum boxes for vaginal vault.# Fletcher suit intracavitatory applicator is used.# Radiotherapy is applicable to all stages of ca cervix from IB to IV.# However, concomittant chemoradiotherapy is best for management of Ca cervix stage IIB/IIIA onwards.